Which is the direct branch of celiac trunk -
1. Right Gastric
2. Left gastric
3. Gastroduodenal
4. Right gastro epiploic artery

Correct answer: 2. Left gastric